Most commonly detected genitourinary abnormality seen in first trimester ultrasound is ?
1. Megacystis
2. Hydronephrosis
3. Cystic Kidney
4. Renal Agenesis

Correct answer: 1. Megacystis

Explanation: Most commonly detected genitourinary abnormality seen in first trimester ultrasound is megacystis. Megacystis is a sign of lower urinary tract obstruction , which have several causes. Fig1 - Megacystis in a male fetus at 13 weeks gestation Fig2 - Prune belly sequence by urethral obstruction sequence with megacystis